Following are the causes of death in a patient with burns except :
1. Shock
2. Suffocation
3. Sepsis
4. Air embolism

Correct answer: 4. Air embolism

Explanation: D i.e. Air embolism Elevated levels of cyanide are seen in thermal burns especially where plastics & paints are burningQ